Best method for HbA1c estimation is?
1. Affinity chromatography
2. Ion exchange chromatography
3. Electrophoresis
4. HPLC

Correct answer: 4. HPLC

Explanation: Ans. (d) HPLCFour basic types of methods are used most commonly to measure HbA1c: immunoassay, ion-exchange high- performance liquid chromatography (HPLC), boronate affinity HPLC, and enzymatic assays. The gold standard is HPLC method